All are true about diffuse axonal injury except
1. Can occur even with trivial trauma
2. Patient might be in comatose condition
3. CT might be normal
4. Type of primary brain injury

Correct answer: 1. Can occur even with trivial trauma

Explanation: Diffuse axonal injuryThis is a form of primary brain injury, seen in high-energyaccidents, and which usually renders the patient comatose. It is strictly a pathological diagnosis made at postmortem, but haemorrhagic foci in the corpus callosum and dorsolateral rostral brainstem on CT may be suggestive, although the CT often appears normal.Bailey and Love 27e pg: 336